Earliest symptom in acute appendicitis is:
1. Pain
2. Fever
3. Vomiting
4. Rise of pulse rate

Correct answer: 1. Pain

Explanation: Ans: a (Pain)Ref: Bailey & Love, 24th ed, p. 1206 & 23rd ed, p. 1080